All are true regarding Uterus except:
1. Lymph vessels from fundus drain to para-aortic lymph nodes
2. Broad ligament provides primary support to uterus
3. Mainly supplied by uterine arteries
4. Posterior surface is related to intestine

Correct answer: 2. Broad ligament provides primary support to uterus

Explanation: Ans: B (Broad-) UTERUS BDC4th/Vol II 358-363Arterial supply: Chiefly by the two uterine arteries which are markedly enlarged during pregnancy. Partly by the ovarian arteriesLympathic drainages are by: Mainly Aortic nodes & partly by superficial inguinal nodes(fundus & upper part of body),External iliac nodeflower part of body} & external iliac, internal iliac, sacral nodes(cervix)"Lymph vessel from the fundus drains into para aortic nodes"- Snells' Anatomy 8th/366"Posterior surface or intestinal surface: It is convex & is related to coils of the terminal ileum & to the sigmoid colon. It is covered with peritoneum & forms the anterior wall of the rectouterine pouch""An terror or vesical surface: It is flat & related to the urinary bladder"Secondary supports: These are of doubtful value & are formed by peritoneal ligaments. These are provided by broad ligaments, uterovesical fold of peritoneum & rectovaginal fold of peritoneum"